All are true about Koch's postulates except:
1. Disease should be susceptible to broad spectrum antibiotics
2. Organism causing lesion can be isolated from lesion
3. Organism can be cultured in artificial media
4. Organism causes similar lesion if inoculated in other person

Correct answer: 1. Disease should be susceptible to broad spectrum antibiotics

Explanation: Ref: Textbook of Microbiology, 8th edition, Ananthnarayan and Paniker, Page 5 and Mandell, Bennett and Doiin: Principles and Practice of Infectious Diseases, 6th edition, Page II Explanation: KOCH'S POSTULATES A microorganism to be accepted as the causative agent of an infectious disease has to satisfy the following conditions: The bacterium should be constantly associated with the lesions of the disease. It should be possible to isolate the bacterium in pure culture from the lesions. Inoculation of such pure culture into suitable laboratory animals should reproduce the lesions of the disease. It should be possible to re-isoiate the bacterium in pure culture from the lesions produced in experimental animals. An additional criterion added later was that specific antibodies to the bacterium be demonstrable in the serum of patients suffering from the disease. Pathogenic organisms that do not obey the Koch's postulates: o Mycobacterium leprae o Tropheryma whippelii o Rhinosporidium seeberi. Molecular form of Koch's postulates o Phenotype of interest should be associated significantly more often with pathogenic members of a genus or pathogenic strains of a species than with non-pathogenic members or strains. o Specific inactivation of the gene or genes associated with the suspected virulence trait should lead to a measurable decrease in virulence. o Restoration of full pathogenicity should accompany replacement of the mutated version of the gene w ith the wrild-type version in the strain of origin.